Which of the following can be used in maxillary central incisor area
1. Modified Ridge lap
2. Saddle
3. Conical
4. Sanitary

Correct answer: 1. Modified Ridge lap